Impact indicator for ASHA ?
1. Number of ASHA trained
2. Infant mortality rate
3. % of institutional deliveries
4. % of JSY claims made to ASHA

Correct answer: 2. Infant mortality rate

Explanation: Ans. is 'b' i.e., Infant mortality rate Monitoring and Evaluation of ASHA's work Government of India has set up following indicators for monitoring ASHA (41). 1.Process Indicators a) Number of ASHAs selected by due process b) Number of ASHAs trained; and c) % of ASHAs attending review meeting after one year 2.Outcome Indicators a) % of newborn who were weighed and families counseled. b) % of children with diarrhoea who received ORS. c) % of deliveries with skilled assistance. d) % of institutional deliveries. e) % of JSY claims made to ASHA f) % of completely immunized in 12 to 23 months age group. g) % of unmet need for spacing contraception among BPL. h) % of fever cases who received chloroquine with in first week in a malaria endemic area. 3.Impact Indicators a) IMR b) Child malnutrition rates c) Number of cases of TB/leprosy detected as compared to previous year.